All are features of anxiety neurosis except -
1. Dryness of mouth
2. Sweating
3. Palpitation
4. Abnormal gait

Correct answer: 4. Abnormal gait

Explanation: Motor:- Restlessness, tremors, muscle twitch, fearful facial expression.
Autonomic & visceral:- Palpitation, tachycardia, sweating, flushes, dyspnea (difficulty in breathing), chest constriction, dry mouth, mydriasis (pupillary dilatation), hyperventilation, cold extremities, diarrhea, urinary frequency & hesitancy.